An ANB angle 2° on the cephalogram usually indicates
1. An unfavorable relationship of mandible to maxilla
2. A favorable relationship of maxillary alveolar base to mandibular alveolar base
3. Poor cranial growth with poor prognosis
4. Retruded maxillary incisor

Correct answer: 2. A favorable relationship of maxillary alveolar base to mandibular alveolar base